Patient presents with waxy flexibility, negativism & rigidity Diagnosis is?
1. Paranoid schizophrenia
2. Catatonic schizophrenia
3. Hebephrenic Sch
4. Simple Sch.

Correct answer: 2. Catatonic schizophrenia

Explanation: B i.e. Catatonic schizophrenia